What is not true for extrasystole in ventricle :
1. Falls to produce radial pulse
2. Hints at serious heart ailment
3. Associated with abnormal QRS complex
4. Tendency to be followed by a compensatory pause

Correct answer: 2. Hints at serious heart ailment

Explanation: B i.e. Hints at serious heart ailment Ventricular Extrasystole/ Premature BeatIn abnormal conditions, the His- Purkinje fibers or the myocardial fibers may discharge spontaneously, that result in a beat that occurs before the expected next normal beat & transiently interrupts the cardiac rhythm. They have bizarrely shaped prolonged QRS Q because of slow spread of impulse from focus to rest of the ventricle- The P wave is usually buried in the QRS complex?- Tendency to be followed by compensatory pauseQ because when the normal impulse (of SA node) reaches ventricle, they are still in the refractory period following depolarization from the ectopic focus. They do not interrupt the regular discharge of SA node (whereas atrial premature beats interrupt normal rhythm) They are not strong enough to produce radial pulse.QVentricular premature beats, in the absence of ischemic heart disease. Is usually benign.Q